Gestational sac is seen on TVS as early as :
1. 18 days from LMP
2. 21 days from LMP
3. 35 days from LMP
4. 42 days from LMP

Correct answer: 3. 35 days from LMP

Explanation: An intrauterine gestational sac is visualised with transvaginal sonography by 5 weeks of gestation, and an embryo with cardiac activity by 6 weeks. The embryo should be visible transvaginally once the mean sac diameter has reached 20mm.Cardiac motion is usually visible with transvaginal imaging when the embryo is 5mm. Reference: william's Textbook of obstetrics 24th edition page no 196.